In RMNCH+A Strategy, what is Plus?
1. Adolescent health
2. Reproductive health
3. DPT vaccination
4. Newborn vaccination

Correct answer: 1. Adolescent health

Explanation: Reproductive, Maternal, Newborn, Child and Adolescent Health Services (RMNCH+A): - A continuum of care approach has now been adopted under NRHM with the articulation of strategic approach to Reproductive Maternal, Newborn, Child health and Adolescent Health (RMNCH+A) in India. - This approach brings focus on adolescents as a critical life stage and linkages between child survival, maternal health and family planning efforts. - It aims to strengthen the referral linkages between community and facility based health services and between the various levels of health system itself.